Which among the following is a marker for testicular carcinoma?
1. PSA
2. b-HCG
3. LH
4. FSH

Correct answer: 2. b-HCG

Explanation: Beta hCG is elevated in 40-60% of cases with testicular cancer. It is seen in choriocarcinoma, embryonal cell carcinoma and pure seminoma.